Cementum formation is more rapid in:
1. Apical portion.
2. Coronal portion.
3. Even over the entire root.
4. At furcation.

Correct answer: 1. Apical portion.